A five-year-old child presents with chronic bed wetting and bilateral loose deciduous first molars. His mother  says that she want to drink of water several times during each night. Which of the following is the most likely diagnosis?
1. Hand-Schuller-Christian disease
2. Marble bone disease
3. Nieman-Pick disease
4. Polyostotic fibrous dysplasia

Correct answer: 1. Hand-Schuller-Christian disease